Mandibular branch of trigeminal nerve supplies all except
1. Tensor tympani
2. Palatoglossus
3. Tensor veli palatine
4. Anterior belly of digastric

Correct answer: 2. Palatoglossus

Explanation: Palatoglossus is supplied by pharyngeal plexus (vagus and spinal accessory nerve).